Lymph from the teeth drains into all of the following nodes EXCEPT
1. Sub mandibular nodes
2. Deep cervical nodes
3. Retro pharyngeal nodes
4. Sub mental nodes

Correct answer: 3. Retro pharyngeal nodes